All are true about macula densa except
1. Sensor for glomerulotubular balance
2. The Na+ and Cl- enter the macula densa cells the Na-K-2Cl cotransporter in their apical membranes
3. Increased formation and release of adenosine in macula densa cells
4. Causes vasoconstriction of afferent arteriole

Correct answer: 1. Sensor for glomerulotubular balance

Explanation: This mechanism involves a feedback loop in which the concentration of NaCl in the tubular fluid is sensed by the macula densa of the juxtaglomerular apparatus and converted into a signal or signals that affect afferent arteriolar resistance and thus the GFR. When the GFR increases and causes in the tubular fluid at the macula densa to rise, more NaCl enters the macula densa cells. This leads to an increase in the formation and release of ATP and adenosine, a metabolite of ATP, by macula densa cells, which causes vasoconstriction of the afferent arteriole. Vasoconstriction of the afferent arteriole returns the GFR to normal levels.